A patient with parkinsonism suddenly presented with trembling, dizziness and upward reeling of eyes. It may be due to -
1. Oculygyric crisis
2. Cholinergic crisis
3. Cerebrellar infarct
4. Cerebral infarct

Correct answer: 1. Oculygyric crisis